Usually associated with parvovirus B19 infection in those with hereditary spherocytosis-
1. Mild to moderate splenomegaly
2. Aplastic crisis
3. Gallstones
4. Hemolytic crisis

Correct answer: 2. Aplastic crisis

Explanation: Ans. is 'b' i.e., Aplastic crisis o Parvovirus B19 selectively infects erythroidprecursors and is the most common aetiological agent that induces aplastic crisis in patients with hereditary spherocytosis (and other Hemolytic disorders).Transient aplastic crisiso Persons with decreased erythrocytes caused by conditions such as iron deficiency anemia, human immunodeficiency virus sickle cell disease, spherocytosis or thalassemia are at risk of transient aplastic crisis if infected with parvovirus B19.o The virus causes a cessation of erythrocyte production,o Parvovirus infection may be the first manifestation in HS.o It begins with reticulocytosis and thrombocytosis.